MDR gene acts by:
1. Block drug activation
2. Block intracellular DNA synthesis
3. Cause efflux of drug
4. DNA repair inhibition

Correct answer: 3. Cause efflux of drug

Explanation: Cause efflux of drug